Following are thyrotoxicosis signs EXCEPT -
1. Infrequent blinking
2. Inability to converge the eyeballs
3. Visible upper scleara on looking straight
4. Stridor on gently pressing lobes of thyroid

Correct answer: 4. Stridor on gently pressing lobes of thyroid

Explanation: In hyperthyroidism, lagging of the upper eyelid as the eye looks downward, impairment of convergence, and retraction of the upper eyelid and infrequent blinking may be present. Page 1910, Nelson textbook of pediatrics 19th edition